Resistance to acyclovir is most commonly due to mutation in a viral gene that encodes a protein that:
1. Converts viral RNA into DNA
2. Phosphorylates acyclovir
3. transports acyclovir into the cell
4. Transports acyclovir out of the cell

Correct answer: 2. Phosphorylates acyclovir

Explanation: (Ref: KDT 6/e p768) Nucleoside/tide analogues (like acyclovir) act by converting to NTPs. First phosphorylation step occurs inside the virs and resistance occurs if there is mutation in this gene.